Saturable kinetics is seen in:
1. Phenvtoin
2. Diazepam
3. Digoxin
4. Barbiturate

Correct answer: 1. Phenvtoin

Explanation: Ans: a (Phenytoin) Ref: KDT, 6 ed, p. 404Saturable kinetics is seen in phenytoin.Phenvtoin pharmacokinetics:Phenytoin is metabolised by hydroxylation & glucuronide conjugation.Kinetics is capacity limited: it changes from first order to zero order over therapeutic range.Drugs showing zero order kinetics:Mnemonic: "PET SHOP "p-E-T-S-H-O-P-PhenytoinEthanolTolbutamideSalicylate- aspirintHeophyllineOral anticoagulant- warfarinPropanolol